------- days after ovulation does implantation takes place?
1. 3-5 days
2. 7-9 days
3. 10-12 days
4. 13-15 days

Correct answer: 2. 7-9 days

Explanation: fertilisation occur within 24 hours of ovulation. 6-7 weeks after ovulation/ fertilisation, the embryo implants the uterine wall Reference: William's textbook of Gynaecology 24th edition page 89